Which of the following is not used in the management of thyrotoxic crisis:
1. Propranolol
2. Hydrcoisol
3. Oral potassium iodide
4. Levo-thyroxine

Correct answer: 4. Levo-thyroxine

Explanation: Ans. D: Levo-thyroxine Thyrotoxic crisis (storm) requires the administration of intravenous fluids, cooling the patients with ice packs, the administration of oxygen, diuretics for cardiac failure, digoxin for uncontrolled atrial fibrillation, sedation and I/ V hydrocortisone. Specific treatment is with carbimazole 10-20 mg 6 hourly, Lugol's iodine 10 drops 8-hourly by mouth or sodium iodide 1 g I/ V. Propranolol I/ V (1-2 mg) or orally (40 mg 6 hourly) will block beta-adrenergic effects